Astacia-Abasia seen in
1. Parkinsonism
2. Alzeihmer's
3. Schizophrenia
4. Hysterical conversion disorder

Correct answer: 4. Hysterical conversion disorder

Explanation: *Odd gyrations of posture with wastage of muscular energy (astasia-abasia),extreme slow motion,and dramatic fluctuations over time may be observed in patients with somatoform disorders and conversion reaction.The term abasia literally means that the base of gait (the lateral distance between the two feet) is inconstant or unmeasurable. When seen in conversion disorder, the gait is bizarre and is not suggestive of a specific organic lesion: often the patient sways wildly and nearly falls, recovering at the last moment. Ref Harrison20th edition pg 2345